Beta-2 microglobulin is a marker for?
1. Multiple Myeloma
2. Mycosis fungoides
3. B-Cell lymphoma
4. Mantle cell lymphoma

Correct answer: 1. Multiple Myeloma

Explanation: Ans. is 'a' i.e., Multiple myeloma * Serum b2 microglobulin is increased in multiple myeloma and is the most important prognostic factor and can substitute for staging.* b2 Microglobulin level:a) < .004g/L - Median survival of 43 months.b) .004 g/L - Median survival of only 12 months.